NOT a constituent of spermatic cord:
1. Ducts deferens
2. Testicular artery
3. Ilio-inguinal nerve
4. Genital branch of genitofemoral nerve

Correct answer: 3. Ilio-inguinal nerve

Explanation: Ans. C i.e. Ilio-inguinal nerve Ilioinguinal nerveIt is a branch of the first lumbar nerve (L1).It separates from the first lumbar nerve along with the larger iliohypogastric nerve.It emerges from the lateral border of the psoas major just inferior to the iliohypogastric, and passes obliquely across the quadratus lumborum and iliacus.The ilioinguinal nerve then perforates the transversus abdominis near the anterior part of the iliac crest, and communicates with the iliohypogastric nerve between the transversus and the obliquus internus.It then pierces the obliquus internus, distributing filaments to it, and then accompanies the spermatic cord through the superficial inguinal ring.